All/except are true about MS:
1. Corpus callosum lesions are characteristic
2. Periventricular white matter distribution with decreased CT attenuation
3. T1WI are most diagnostic for acute plaques
4. Hyper intense T2WI

Correct answer: 3. T1WI are most diagnostic for acute plaques

Explanation: C i.e. T1WI are most diagnostic for acute plaques